Spores of Cl.botulinum in infant girl present as-
1. Flopy infant syndrome
2. Relapsing fever
3. Rocky. Mountain spotted fever
4. Toxic shock syndrome

Correct answer: 1. Flopy infant syndrome

Explanation: (A) (Floppy infant syndrome)Floppy baby syndrome* It affects infant, usually below 6 months.* Caused by ingestion of food contaminated by spores of Cl. botulinum.* C. botulinum spores in honey. When the honey was given as an encouragement to feed, the ingested spores were able to germinate and produce toxin in the infant gut.* Characterized constipation, weakness, lethargy and cranial palsies.* Infants exhibit flaccid paralysis, usually with a weak sucking response, generalized loss of tone (the floppy child syndrome) and respiratory complications.* Spores and toxin are excreted in the faeces of the patients.